The following is not one of the 4 key cell cycle regulators which are dysregulated in a variety of human cancers
1. P16/INK4a
2. Cyclin D
3. P21
4. RB

Correct answer: 3. P21